Hartnup disease, limiting amino acid -
1. Tyrosine
2. Tryptophan
3. Phenylalanine
4. None

Correct answer: 2. Tryptophan

Explanation: Ans is 'b' i. e., Tryptophan Co-Factor/Limiting Amino Acid Therapy CofactorLimiting amino acido PKU-Tyrosineo Neonatal tyrosinemia. Alkaptonuria, HawkinsuriaVit.C-o Maple Syrup Urine diseaseB1 (Thiamine)-o Hartnup diseaseNiacinTryptophano Mitochondrial diseaseB6-o Classical HomocystinuriaB6 & Folic a.Cystineo Methyl Malonyl acidemiaB12 o Isovaleric acidemia-Glycine, carnitine